Which among the following finding is associated with Motorcyclist fracture?
1. Ring fracture
2. Sutural separation
3. Comminuted fracture of vault of skull
4. Fracture base of skull into anterior and posterior halves

Correct answer: 4. Fracture base of skull into anterior and posterior halves

Explanation: Motor cyclists fracture refers to fracture in which the base of the skull is divided into two halves each moving independently of each other like a hinge. In this, there is a transverse crack across the floor of the skull, crossing behind the greater wing of sphenoid bone, through the pituitary fossa to the opposite side. Another type of fracture seen following injury to motorcyclists is a ring fracture. Ring fracture around the foramen magnum is caused by an impact on the crown of the head. Tailgating or under running is seen in motorcyclists where a rider drives into the back of a truck or some other heavy vehicle. In such cases, motorcyclists head and shoulders are smashed against the tail board. Ref: Textbook of Forensic Medicine and Toxicology : Principles and Practice, 5/e By Krishan Vij page 300.